The predominant isozyme of LDH in cardiac muscle is
1. LD-1
2. LD-2
3. LD-3
4. LD-5

Correct answer: 1. LD-1

Explanation: In myocardial infarction, total LDH activity is increased, while H4 iso-enzyme ( monomer of LDH ) is increased 5-10 times more. The magnitude of the peak value, as well as the area under the graph, will be roughly proportional to the size of the myocardial infarct. Ref: D M Vasudevan 7th edition Page no: 304